Which of the following does not belong to dystrophin-glycoprotein complex
1. Perlecan
2. Dystrophin
3. Dystroglycan
4. Sarcoglycan

Correct answer: 1. Perlecan

Explanation: Perlecan is a large extracellular matrix proteoglycan that plays a crucial role in tissue development and organogenesis. Dystrophin-glycoprotein complex The dystrophin-glycoprotein complex provides a structural link between the cytoskeleton of the muscle cell and the extracellular matrix, which appears to stabilize the sarcolemma, adds strength to the muscle by providing a scaffolding for the fibrils and prevents contraction-induced injury(rupture). Organisation of DG complex Dystrophin connects F-actin to the transmembrane protein b-dystroglycan smaller proteins called syntrophins. This b-dystroglycan, in turn connects to the merosin subunit of laminin 211 in the extracellular matrix a-dystroglycan The dytroglycans are also associated with a complex of four transmembrane glycoproteins, a-,b-,g- and d- sarcoglycan and sarcospan. Ref: Ganong's Review of Medical physiology 25th edition Pgno: 103